Ureteric construction is seen at all the following positions, EXCEPT :
1. Ureteropelvic junction
2. Ureterovesicle junction
3. Crossing of iliac artery
4. Ischial spine

Correct answer: 4. Ischial spine

Explanation: D i.e. Ischial spine